A 30 years old multigravida presented with transverse lie with hand prolapse in Ilnd stage of labour with dead fetus. The treatment is :
1. Chemical cesarean section
2. LSCS
3. Craniotomy
4. Cleidotomy

Correct answer: 2. LSCS

Explanation: LSCS